In acute knee injuries with swelling and hemarthrosis with muscle spasm, which of the following tests in most sensitive to detect anterior cruciate ligament injury?
1. Lachman's test
2. Pivot shift test
3. Apley's grinding test
4. Anterior drawer test

Correct answer: 1. Lachman's test

Explanation: The Lachman test is the most sensitive and specific clinical test for anterior cruciate ligament injury. It is especially useful because it can be performed even in an acutely painful knee when the knee is painful and swollen. Ref: Campbell's Operative Orthopaedics, 11th Edition, Page 2440; Rockwood and Green's Fractures in Adult, 5th Edition, Pages 1902-3; Physical Medicine and Rehabilitation Board Review, Sara J. Cuccurullo, 2nd Edition, Chapter 4, Musculoskeletal Medicine, Page 240